Paracervical block is associated with
1. Inhibition of labour
2. Fetal bradycardia
3. Increased loss of blood
4. Atonicity of uterus

Correct answer: 2. Fetal bradycardia

Explanation: Paracervical nerve block : Given at the end of the first stage of the labor It is injected at the site of the cervix, given on both sides It can be repeated to relieve pain Fetal bradycardia is the known complication. Ref: Dutta Obs 9e pg 480.